Herpangina is caused by the virus -
1. Group A Coxsackie
2. Group B Coxsackie
3. Measles
4. Adenovirus

Correct answer: 1. Group A Coxsackie